Cash benefits in ESI scheme includes
1. Funeral
2. Medical
3. Liability
4. Marriage

Correct answer: 1. Funeral